Slapped cheek appearance is caused by ?
1. Parvo virus
2. Measles
3. Rubella
4. HHV-6

Correct answer: 1. Parvo virus

Explanation: Ans. is 'a' i.e., Parvo virus